All are true regarding LH surge except
1. LH surge acts rapidly on both granulosa and theca cells of preovulatory follicle
2. LH surge initiates re - entry of oocyte into meiosis
3. Ovulation occurs 24 hours after LH surge
4. Mean duration of LH surge is 48 hours

Correct answer: 3. Ovulation occurs 24 hours after LH surge

Explanation: Ovulation occurs 36 to 40 hours after the onset of LH surge.